Plague is what type of zoonosis?
1. Cyclozoonosis
2. Direct zoonosis
3. Sapro-zoonosis
4. Meta Zoonosis

Correct answer: 4. Meta Zoonosis